True about carpal tunnel syndrome -a) Occur in pregnancyb) Affects medial 3 1/2 fingerc) Associated with Hypothyroidismd) Froment sign positivee) Median nerve involvement is present
1. ace
2. bde
3. cde
4. ade

Correct answer: 1. ace

Explanation: Carpal tunnel syndrome can occur in pregnancy and hypothyroidism.
It affects lateral 3 and half fingers because median nerve supplied lateral 3 and half fingers.
Froment sign is seen in ulnar nerve injury.